56. Papillomatous tongue is observed in
1. Lymphangioma
2. Hyalinia cutus et mucosa syndrome
3. Fetal face syndrome
4. Tuberous sclerosis

Correct answer: 1. Lymphangioma